The power of first class magistrate include(s):
1. Fine up to 10000 rupees
2. Can try all cases
3. Can give life sentence
4. Can give imprisonment up to seven years

Correct answer: 1. Fine up to 10000 rupees

Explanation: Ans: A (Fine up to 10000 rupees) Class of Magistrate Imprisonment Fine Chief judicial magistrate Up to seven years Unlimited I class judicial magistrate Up to three years 10000 rupees II class judicial magistrate Asst sessions, Sessions Up to one year 10yrs Life imprisonment/death sentence but to be confirmed by H.C 5000 rupees